Narcotic Drugs and psychotropic substance act was passed in the year:
1. 1981
2. 1983
3. 1985
4. 1986

Correct answer: 3. 1985

Explanation: C i.e. 1985